The sacrotuberous ligament represents the origin of-
1. Gluteus maximus
2. Semimembranosus
3. Long head of biceps femoris
4. Sacrospinous ligament

Correct answer: 3. Long head of biceps femoris

Explanation: The superficial fibers of lower part of sacrotuberous ligament continue into the tendon of long head of biceps femoris.